Urinary eosinophilia is a feature of?
1. Renal vein thrombosis
2. Atheroembolic kidney disease
3. Gaucher disease
4. Myeloma Kidney

Correct answer: 2. Atheroembolic kidney disease

Explanation: Urinary Eosinophilia - Wright & Hansel Stain Allergic Interstitial Nephritis Atheroembolic Kidney Disease Schistosomiasis Atheroembolic kidney disease is encountered in patients who are undergoing angiography. In these patients you will always be having cholesterol fragments contributing to perfusion defects.